X-ray shows soap bubble appearance at lower end of radius, treatment of choice is –
1. Local excision
2. Excision & Bone grafting
3. Amputation
4. RT

Correct answer: 2. Excision & Bone grafting

Explanation: Soap bubble appearance at the lower end of radius suggests the diagnosis of giant cell tumor.
Two commonly used procedures for GCT of the distal end of the radius are :-


are ended curratage (curratage + cryotherapy + bone graft / cementing)
Wide local excision with the replacement of the excised fragment by bone graft.